Which of the following Statement is true with respect to program given below:-
1. Deworming of children 5-9 yr with Albendazole 400 mg - 2 tablets
2. IFA supplementation in 5-9 yr. Iron (45), FA (500) Weekly - Pink tablet
3. IFA supplementation 10-19 Adolescents Iron (60), FA (500). Weekly - Blue tablet
4. IFA Supplementation of 6-59 months children, Iron (30mg) FA (200mg) Biweekly - Bottle 50 ml.

Correct answer: 3. IFA supplementation 10-19 Adolescents Iron (60), FA (500). Weekly - Blue tablet

Explanation: - Given image depicts ANEMIA MUKT BHARAT (AMB) / Intensified iron plus initiative - Its aim is to decrease prevalence of anemia by 3% points / yr among children, adolescents & women in reproductive age group b/w yr 2018-22 - It has 6 x 6 x 6 strategy i.e 6 beneficiaries, 6 mechanisms, 6 interventions Prophylactic Dose/Regime IFA Supplementation Age Group Iron (mg) Folic Acid (mcg) Frequency Remark 6-59 m children 20 100 Biweekly Bottle 50 mL 5-9 y Children 45 400 Weekly Pink Tablet 10-19 y Adolescents 60 500 Weekly Blue Tablet 20-49 y Non Pregnant,Non Lactating Women 60 500 Weekly Red Tablet Pregnant, Lactating mothers 60 500 Daily Red Tablet - Prophylaxis with iron is withheld in acute illness (fever, diarrhea, pneumonia, etc.) ,known case of thalassemia major/ history ofrepeated blood transfusion. - In children with severe acute malnutrition (SAM), IFA supplementation is continued as per SAM management protocol. - All women in reproductive age group, from pre-conception period till first trimester of pregnancy, 400 mcg of folic acid tablets, daily is recommended to reduce incidence of neural tube defects in fetus. Also remember, Deworming with Albendazole 400 mg Tablet Age Group Tablet Frequency 12-59 months 1/2 tablet to 12-24 months, 1 tablet to 2-5 years age Biannual, Mass Deworming 5-9 y Children 1 Tablet 10-19 y Adolescents 1 Tablet 20-49 y NPNL Women 1 Tablet Pregnant, Lactating mothers 1 Tablet Once in 2nd Trimester